Which of the following ligament is not attached to talus
1. Talonavicular ligament
2. Spring ligament
3. Deltoid ligament
4. Cervical ligament

Correct answer: 2. Spring ligament

Explanation: TALUS:- Second largest tarsal bone.Head , neck and body. Tibia above and calcaneum below, Attachments:-Devoid of muscular attachment.Numerous ligaments attached to it because it takes part in three joints- ankle, talocalcanean, and talonavicular .Neck:- Capsular ligament of ankle joint.Dorsal talonavicular Interosseus talocalcanean and cervical ligament.Anterior talofibular ligament. Medial surface of body:- deep fibres of deltoid. Medial tubercle - superficial fibres of deltoid ligament. Groove on posterior surface lodges flexor hallucis tendon. Posterior talofibular ligament attached to posterior process.Plantar border: posterior talocalcanean ligament. {Reference: BDC 6E pg no. 30}